Tension band wiring is indicated in fracture of which of the following ?
1. Fracture humerus
2. Olecranon
3. Fracture tibia
4. Fracture spine

Correct answer: 2. Olecranon

Explanation: Tension band wiring is indicated in the treatment of two types of olecranon fracture. First type is a clean break with separation of the fragments, and second type is comminuted fracture of the olecranon with displced fragments. A crack in the olecranon without displacement is treated by immobilising the elbow in an above elbow plaster slab in 30 degrees of flexion.